A 20 year old man presents with swelling of left lower limb and hydrocoele. All of the following may be the causative agent EXCEPT:
1. Brugia malayi
2. Brugia timoria
3. Wuchereria bancrofti
4. Onchocerca volvulus

Correct answer: 4. Onchocerca volvulus

Explanation: Ans. (d) Onchocerca volvulusRef: Diagnostic medical parasitology 3rd/275, Park 19th /221* Onchocerca volvulus results in river blindness and subcutaneous nodules.* "Lymphatic filariasis" covers infection with three closely related nematode worms - W.Bancrofti, B. Malayi and B. timoria.* All three infections are transmitted to man by the bites of infective mosquitoes.* All three parasites have basically similar life cycles in man- adult worms living in lymphatic vessels whilst their offspring, the microfilariae circulate in peripheral bloodand are available to infect mosquito vectors when they come to feed.Also Know* Diethylcarbamazine (DEC) is the drug of choice for filariasis.* Ivermectin is the drug of choice for Onchocerca volvulus